Poor scholastic performance is not associated with:
1. SLD
2. ADHD
3. PICA
4. Anxiety

Correct answer: 3. PICA

Explanation: C i.e. PICA ADHD, SLD and childhood anxiety disorders lead to poor academic/school/ scholiastic performanceQ but PICA by itself is not associated with poor scholiastic performance. However, conditions a/w pica eg ID or lead intoxication may cause the same.